All of the following are true about hallucination except -
1. It is as vivid as sense perception
2. It depends upon will of the observer
3. Occurs in external objective space
4. It occurs in the absence of perceptual stimulus

Correct answer: 2. It depends upon will of the observer

Explanation: Ans. is 'b' i.e., It depends upon the will of the observer Hallucination It is a perception in the absence of stimulus. In a stricter sense, hallucinations are defined as perceptions in conscious and awake state in the absence of external stimuli which have qualities of real perception in that they are vivid, substantial and located in external objective space. There are six elements of hallucination:- They are substantial They appear in external objective space They are clearly delineated They are constant They are independent of the will of the observer Their sensory elements are full and fresh Also know Pseudohallucinations occurs in inner subjective space.